According to the latest guidelines of vaccination, which of the following is applicable at the age of 5 years :-
1. DT Booster + Vitamin A
2. DT
3. DPT + OPV
4. DPT booster + Vitamin A

Correct answer: 4. DPT booster + Vitamin A

Explanation: According to Latest National immunization Schedule - NIS 2020-21: - Total 3 doses of DPT vaccine each at 6,10 & 14 weeks; & 2 booster doses each at & 5yrs of age are given respectively. - Vitamin A should be started at 9months of age & given for every 6months till 5yrs of age. - Hence DPT booster & Vit A are applicable at the age of 5 yrs. - 5 doses of OPV is completed with in 16-24months of age normally ; only in delayed immunization, it can be given till 5yrs of age. - Other recent changes in immunization guidelines in India: - 2 doses of Measles vaccine:- first dose: 9 months of age. second dose: 16-24 months age. - 2 doses of JE Live vaccine: First dose : 9-12 months. Second dose =16-24 months.